Which of the following is autosomal dominant in inheritance?
1. Sickle cell disease
2. Achondroplasia
3. Hemochromatosis
4. Wiskott Aldrich syndrome

Correct answer: 2. Achondroplasia

Explanation: Autosomal Dominant (A Very DOMINANT Hereditary Family ) Achondroplasia/ADPKD Von Hipple Lindau disease Dystrophia myotonica Osteogenesis imperfecta Marfan Syndrome Intermittent porphyria NF 1(von reckinghausen disease) Achondroplasia NF 2 Tuberous Sclerosis Huntington Disease Familial hypercholesterolemia Autosomal Recessive (ABCDEFGH'S) Albinism, Ataxia Telengiactasia, Alkaptonuri Beta thalassemia Cystic Fibrosis Dubin Johnson Emphysema(alpha 1 antitrypsin deficiency) Friedreich Ataxia Galactosemia Hemochromatosis Sickle cell anemia Wiskott Aldrich : X linked Recessive Defects in hormones and signal transduction proteins producing abnormal proliferaion oor maturation of osteoblasts, osteoclasts or chondrocytes Achondroplasia FGFR3 Receptor Short stature, rhizomelic, shortening of limbs, frontal bossing, midface deficiency Hypochondroplasia FGFR3 Receptor Disproportionately short stature, micromelia, relative macrocephaly